Suxamethonium causes -
1. Jaundice
2. Splenomegaly
3. Atrial fibrillation
4. Muscle fasciculation

Correct answer: 4. Muscle fasciculation

Explanation: Ans. is 'd' i.e., Muscle fasciculation SCh is a depolarising skeletal muscle relaxant. It causes sustained partial depolarization of muscle end plate --> intially produce twitching and fasciculation followed by flaccid paralysis.